Loose body in joint most common site is -
1. Knee
2. Hip
3. Elbow
4. Ankle

Correct answer: 1. Knee

Explanation: Ans. is 'a' i.e., Knee Loose body in jointo A loose body is a free-floating piece of bone, cartilage or foreign object in a joint,o The knee is the most common joint where one would find a loose body.o Causes of loose bodies include :-OsteoarthritisOsteochondritisdessicansOsteochondral fracture(injury)Charcot's diseaseSynovial chondromatosis